All of the following structures pierce through Clavipectoral fascia except ?
1. Lateral pectoral nerve
2. Thoraco-acromial artery
3. Cephalic vein
4. Medial pectoral nerve

Correct answer: 4. Medial pectoral nerve

Explanation: Structures piercing through the Clavipectoral fascia are: Lateral pectoral nerve Thoracoacromial artery Lymphatics Cephalic vein Reference: Chaurasia; 6th edition.